Black color in triage -
1. Death
2. Transfer
3. High priority
4. Low priority

Correct answer: 1. Death

Explanation: - triage consists of rapidly classifying the injured on the basis of severity of their injuries and the likelihood of their survival with prompt medical intervention. - black colour triage signals dead or moribund patients. Reference: Park's textbook of preventive and social medicine, 23rd edition, pg no: 796